"Isomorphic response" can be a feature of the following except
1. Warts
2. Tinea
3. Psoriasis
4. Molluscum contagiosum

Correct answer: 2. Tinea

Explanation: Warts and Psoriasis show Isomorphic (koebner's) phenomenon.
Molluscum contagiosum show pseudoisomorphic (isomorphic like) phenomenon.